Cognisable offence comes under which section of Cr. P.C. -
1. 2C
2. 2B
3. 1A
4. None

Correct answer: 1. 2C

Explanation: Ans. is 'a' i.e., 2C o Cognisable offence: Section 2C Cr. PC.-it is an offence in which a police officer can arrest a person without warrant from the magistrate. Eg murder, ragging.o In such offences, the person is sent by police to the doctor for medical examination.